Examples of type I hypersensitivity is:
1. Lepromin test
2. Tuberculin
3. Casoni's test
4. Arthus reaction

Correct answer: 3. Casoni's test

Explanation: Ans. is 'c' i.e., Casoni's test(Ref: Chatterjee Parasitology, 12th/e, p. 127)* Casoni's test is type I hypersensitivity.* Arthus reaction is type III hypersensitivity.* Lepromin test and tuberculin test are type IV hypersensitivity.